All is true about Giant cell arteritis except:
1. Involves large to medium sized arteries
2. Granulomatous inflammation
3. Most commonly involved artery is abdominal aorta
4. Segmental nature of the involvement

Correct answer: 3. Most commonly involved artery is abdominal aorta

Explanation: It is the most common type of vasculitis in adults (usually >50 years) This vasculitis is characterized by granulomatous arteritis of the aorta and its major branches particularly the extracranial branches of the carotid artery. Since the superficial temporal artery is the most commonly involved vessel, the giant cell arteritis is called as temporal arteritis. Clinical features include constitutional symptoms like fever, fatigue, weight loss, jaw pain facial pain, localized headache (most intense along the anatomical course of the superficial temporal artery) and sudden onset of blindness (due to involvement of ophthalmic artery). Biopsy of temporal artery is the investigation of choice. Microscopically, there is presence of granulomatous inflammation with multinucleated giant cells and fragmentation of internal elastic lamina.